Not true about auricular hematoma:
1. Alt case should receive antibiotic
2. Commonly seen in rugby player
3. Resolve spontanously
4. also called Boxers Ear

Correct answer: 3. Resolve spontanously

Explanation: Ans : C (Resolve...) CAULIFLOWER EAR (complication of hematoma aum, perichondrial hematoma, or traumatic auricular hematoma)# It is a condition that occurs when the external portion of the ear suffers a blow, blood clot or other collection of fluid under the perichondrium. This separates the cartilage from the overlying perichondrium that supplies its nutrients. causing it to die and resulting in the formation of fibrous tissue in the overlying skin. As a result, the outer ear becomes permanently swollen and deformed, resembling a cauliflower.# The condition is most common among wrestlers, mixed martial artists and forwards in rughv union. It can occur when an ear cartilage piercing becomes infected.Headgear (called a "scrum cap" in Rugby, or simply "headgear" in wrestling and other martial arts) that protects the ears is worn in wrestling and rugby, many martial arts and other contact sports to help prevent this condition. For some athletes, however, a cauliflower ear is considered a badge of courage or experienceTreatment is aspiration of the heamatoma under strict aseptic condition & a pressure dressing, carefully packing alt concavities of the auricle. Aspiratin may need to be repeated. When aspiration fails, incision & drainage should be doneAll cases should receive prophylactic antibioticsThe outer ear is prone to infections, so antibiotics are usually prescribed. If the pressure is left alone without medical intervention, the ear can suffer serious damage. Pressure can build up and eventually rupture the ear drum.Cosmetic procedures are available which can possibly improve the appearance of the ear.